Celiac disease is children is most commonly associated with:
1. HLA-DQ2
2. HLA-DQ3
3. HLA-DQ8
4. Blood group B

Correct answer: 1. HLA-DQ2

Explanation: Ans. A. HLA-DQ2* Celiac disease is an immune-mediated enteropathy that is triggered by ingestion of gluten in genetically susceptible individuals.* Three factors can activate the disease; Ingestion of gluten-containing products; Dysfunction of intestinal mucosal barrier; and Genetic predisposition (HLA DQ2 / DQ8).* About 95% of patients of celiac disease express HLA-DQ2, and the remaining patients are usually HLA-DQ8 positive.